Gum hyperplasia is seen with:
1. AML
2. CML
3. ALL
4. CLL

Correct answer: 1. AML

Explanation: Ans. A: AML Gingival hyperplasia is secondary to infiltration of the gingival tissue with leukemia cells. Gingival hyperplasia was observed in acute myelogenous leukemia (AML) with a frequency of 3% to 5%. Gingival hyperplasia is most commonly seen with the AML subtypes acute monocytic leukemia (M5), acute myelomonocytic leukemia (M4), and acute myelocytic leukemia (M1, M2). Tumors with monocytic differentiation often infiltrate the skin (leukemia cutis) and gingiva; this probably reflects the normal tendency of the monocytes to extravasate into tissues.